Ideal position for dentist to stand while taking radiographs
1. Behind head of patient
2. At an angle of 90-135 degrees and six feet away from patient
3. In 11'o clock position
4. At an angle of 180° and 9 feet away

Correct answer: 2. At an angle of 90-135 degrees and six feet away from patient